Etanercept used in rheumatoid arthritis act by the inhibition of:
1. TNF alpha
2. TFG beta
3. IL-2
4. IL-6

Correct answer: 1. TNF alpha

Explanation: TNF Alpha blockers- Infliximab, adalimumab, certolizumab, golimumab, etanercept Ref KD Tripathi 8th ed